Which of the following is not a phospholipid ?
1. Lecithine
2. Plasmalogen
3. Cardiolipin
4. Ganglioside

Correct answer: 4. Ganglioside

Explanation: Ans. is 'd' i.e., Ganglioside Phospholipids are : Glycerophospholipids (glycerol containing) :- Phosphatidylcholine (lecithin), phosphatidylethanolamine (cephaline), phosphatidylserine, phosphatidylinositol, plasmalogens, lysophospholipids, cardiolipin. Sphingophospholipids (sphingosine containing) :- Sphingomyeline